100% recurrence of disease in Down's syndrome
1. Translocation of 15 + 21 chromsome
2. Mosaic pattern
3. Trisomy - (21, 21 translocation)
4. Non Dysjunction

Correct answer: 3. Trisomy - (21, 21 translocation)

Explanation: 100% recurrence of disease in Down's syndrome is due to balanced translocation (21 : 21).